Which of the following is a type of neurocristopathy
1. Macular dystrophy
2. Arcus senilis
3. ICE syndrome
4. Band shaped keratopathy

Correct answer: 3. ICE syndrome

Explanation: ICE syndrome is a type of neurocristopathy that means is because of disorder of migration of neural crest cells ICE Syndrome The most important feature of this group of diseases is the movement of endothelial cells off the cornea onto the iris. Type of Neurocristopathy. Consists of three disorders *Progressive Iris atrophy *Chandler syndrome: Characterized by corneal edema *Cogan Reese *A/w glaucoma in later stages